Which of the following are epimers
1. Glucose and Mannose
2. Galactose and mannose
3. Glucose and fructose
4. Fructose and Glucose

Correct answer: 1. Glucose and Mannose

Explanation: → 2nd epimer of glucose is mannose
→ 4th epimer of glucose is Galactose.